Pond's fractures are common in:
1. Children
2. Adolescent
3. Adult
4. Old age

Correct answer: 1. Children

Explanation: Ans. Children